Ascospore is ?
1. Asexual spore
2. Sexual spore
3. Conidia
4. None of the above

Correct answer: 2. Sexual spore

Explanation: Ans. is 'b' i.e., Sexual spore Fungal spores Most fungi reproduce through the generation of spores Fungi produce spores by two methods? Sexual reproduction - Sexual spores Asexual reproduction - Asexual spores